Dangerous perforation of eardrum is located at:
1. Center
2. Attic
3. Paracentrally
4. All

Correct answer: 2. Attic

Explanation: Ans. b (Attic).(Ref. Diseases of ENT by PL Dhingra, / 3rd/pg.91)CHOLESTEATOMA can involve any area of the middle ear, hypotympanum, protympanum, epitympanum, and mastoid.Since most cases of cholesteatoma arise from a retraction of the tympanic membrane, it follows that most cases involve the middle ear space in some form. Pars flaccida retractions are the most common.These cholesteatomas typically invade Prussack space, which is the area between the pars flaccida laterally, and the malleus neck and the lower portion of the head medially. From here, the cholesteatoma can invade the middle ear inferiorly, the attic, and then the mastoid superiorly.